Most common involvement of genitourinary system is seen in:
1. HSV 1
2. HSV 2
3. HSV 8
4. HSV 12

Correct answer: 2. HSV 2

Explanation: Ans: b (HSV 2) Ref: Ananathanarayan, 7th ed, p. 474MC involvement of genitourinary system is seen in HSV 2HSV 1 usually causes lesions in and around mouth (above waist)HSV 2 causes lesions over genital area (below waist)Type of Human Herpes viruses (HHV)* HHV 1- Herpes simplex virus type 1* HHV 2- Herpes simplex virus type 2* HHV 3- Varicella zoster virus* HHV 4- Epstein Barr virus* HHV 5- Cytomegalovirus* HHV 6- Human B cell lymphotropic virus* HHV 7- RK virus* HHV 8- Kaposi virusHHV 6 causes exanthem subitum or roseola infantum; also known as 6th diseaseHHV 8 is associated with Kaposi sarcoma and multicentric castleman diseaseNotesRecurrent herpes labialis is MC manifestation of reactivation of heipes simplexHerpes is the most common cause of erythema multiformeHSV infection of fingers is known as herpetic Whitlow- seen in doctors, dentists etcHS V-1 is the MC cause of sporadic encephalitisMC cause of epidemic encephalitis is Arbo virus; Japanese encephalitisMC cause of viral meningitis is enterovirusHSV is the most common cause of lymphocytic meningitis (Mollaret meningitis)PCR for detection of HSV DNA is most sensitive investigation for HSV.